All of the following are paired venous sinuses except
1. Cavernous sinus.
2. Inferior sagittal sinus.
3. Inferior petrosal sinus.
4. Sphenoparietal sinus.

Correct answer: 2. Inferior sagittal sinus.